A young city dweller presented with history of drug abuse and complaining of change in perception, like hearing sights and seeing sounds. Substance responsible for this:
1. LSD
2. Phencyclidine
3. Cocaine
4. Amphetamine

Correct answer: 1. LSD

Explanation: Ans. LSD